Supination in flexed elbow is produced by ?
1. Supinator
2. Biceps
3. Coracobrachialis
4. Brachialis

Correct answer: 2. Biceps

Explanation: Ans. B. Biceps